Multiple necrotic ulcers in prepuce of penis with tender, suppurative inguinal nodes is caused by-
1. Chalmydia
2. Hemophilus ducreyi
3. Herpes simplex
4. Syphilis

Correct answer: 2. Hemophilus ducreyi

Explanation: B i.e. Hemophillus